Regarding Anti-mullerian hormone true is all except
1. It causes regression of ipsilateral paramesonephric duct.
2. Controls rapid gubernacular growth necessary for transabdominal descent of testis.
3. AMH levels in women reflect ovarian follicle reserve.
4. AMH is secreted by Leydig cells.

Correct answer: 4. AMH is secreted by Leydig cells.

Explanation: AMH is secreted by sertoli cells.